Discharge criteria following ambulatory surgery include:
1. Stable vital signs.
2. Ability to ambulate.
3. Ability to have protective airway reflexes.
4. All of the above

Correct answer: 4. All of the above

Explanation: Discharge criteria following ambulatory surgery include the patient's being fully awake and oriented, the ability to have protective airway reflexes, stable vital signs, adequate hydration with the ability to hold down oral intake, the ability to ambulate, and adequate pain control. All patients must have a competent person with them to transport them--and ideally to stay with them on the first postoperative night.